All of the following statements about phagocytosis are true, except:
1. Amoeba and other unicellular protozoa make their living out of this
2. Used to ingest particles < 0.5 microns in size
3. Used to ingest particles > 0.5 microns in size
4. Digestion occurs within phagolysosomes

Correct answer: 2. Used to ingest particles < 0.5 microns in size

Explanation: Phagocytosis, by definition refers to the internalization of large particles >0.5 microns in diameter,smaller particles are ingested by pinocytosis. Ref: Biochemistry By B. D. Hames, N. M. Hooper, page 153; Introduction to Air Pollution Science By Phalen, Robert N. Phalen, page 62; Textbook of Pathology' by V. Krishna